All are causes of pulmonary hypertension, except?
1. Hyperventilation
2. Morbid obesity
3. High altitude
4. Fenfluramine

Correct answer: 1. Hyperventilation

Explanation: Hypoxia leads to constriction of pulmonary artery and development of pulmonary artery hypertension. Morbid obesity leads to obstructive sleep apnea and can lead to PAH High altitude will also lead to hypoxia and development of PAH. A causal relationship has been established between exposure to several anorexigens, including aminorex and the fenfluramine, and the development of PAH.